Which of the following is not an acute phase reactant -
1. CRP
2. Fibrinogen
3. Tissue factor
4. Serum amyloid A

Correct answer: 3. Tissue factor

Explanation: Ans. is 'c' i.e., Tissue factor